All of the following statements about the periosteum are true except?
1. It is highly vascular
2. It does not cover the articular surface of the bones
3. It is pierced by the fibres of sharply
4. It is insensitive to pain

Correct answer: 4. It is insensitive to pain

Explanation: The periosteum is highly sensitive to pain. Note that the needle touching the periosteum in inadvertent intramuscular injection can produce severe pain.